Injury due to Alkalis causes:
1. Retinal detachment
2. Retinitis
3. Perforation
4. Symbelapharon

Correct answer: 4. Symbelapharon

Explanation: Symbelapharon